Neural tube formation occurs on
1. 18 to 23 days post fertilization and is the second stage of craniofacial development
2. 28 to 38 days post fertilization and is the third stage of craniofacial development
3. 42 to 55 days post fertilization and is the fourth stage of craniofacial development
4. 17th day post fertilization and is the first stage of craniofacial development

Correct answer: 1. 18 to 23 days post fertilization and is the second stage of craniofacial development